Streptococcal TSS is due to -
1. Erythrogenic toxin
2. Enterotoxin F
3. Enteoxin C
4. None

Correct answer: 1. Erythrogenic toxin

Explanation: Ans. is 'a' i.e., Erythrogenic toxin